Mechanism of action of colchicine is ?
1. Inhibits gouty inflammation
2. Inhbits the release of chemotactic factors
3. Inhibits granulocyte migration
4. All the above

Correct answer: 4. All the above

Explanation: Ans. is 'd' i.e., All the above Colchicine It is neither analgesic nor anti inflammatory. It specifically inhibits gouty inflammation. It is inhibits release of chemoattractant molecules. It inhibits granulocyte migration into the joint. It is antimitotic causes metaphase arrest by binding to microtubules. It increases gut motility.